An 8 year old boy presented with fever and bilateral cervical lymphadenopathy with prior history of sore throat. There was no hepatomegaly. The peripheral blood smear shows > 20% lympho–plasmacytoid cells. The most likely diagnosis is –
1. Influenza
2. Tuberculosis
3. Infectious mononucleosis
4. Acute lymphoblastic leukemia

Correct answer: 3. Infectious mononucleosis